Which is the characteristic lesion of pregnancy?
1. Vitiligo
2. Pemphigus
3. Tinea
4. Chloasma

Correct answer: 4. Chloasma

Explanation: Chloasma